Fatty acids are stored as ?
1. Cholesterol
2. Triglycerides
3. Sphingomyelin
4. None

Correct answer: 2. Triglycerides

Explanation: Ans. is 'b' i.e., TriglyceridesTriglycerides (TGs) are formed by esterification of one molecule of glycerol with three molecules of fatty acids. Therefore, they are also called as triacylglycerol (acyl for fatty acid). Fatty acids esterified through their carboxyl group, resulting in a loss of negative charge and formation of neutral fat.Triglyceride = Glycerol + 3 fatty acidsTriglycerides are the major storage form of energy. They are stored mainly in adipocytes (fat cells) of adipose tissue.